Animals maintained in a germ free environment did not
develop caries even when fed on a high carbohydrate diet is given by:
1. Gottlieb
2. Miller
3. Snyder
4. Orland and Fizgerald

Correct answer: 4. Orland and Fizgerald